Which morphological type of cataract is most visually handicapping?
1. Cortical
2. Nuclear
3. Posterior subcapsular
4. Zonular

Correct answer: 3. Posterior subcapsular

Explanation: Cupuliform (Posterior subcapsular) cataract lies right in the pathway of the asil rays and thus causes an early loss of visual acuity. Ref: Parson's 21st/e p.258, 260; Khurana 7th/e p.194 & 4th/e p.177.